Ruffini end organ is associated with sensation of:
1. Pressure
2. Cold
3. Heat
4. Touch

Correct answer: 1. Pressure

Explanation: Pressure